The following condition is not associated with an Anti phospholipid syndrome -
1. Venous thrombosis
2. Recurrent foetal loss
3. Thrombocytosis
4. Neurological manifestation

Correct answer: 3. Thrombocytosis

Explanation: The clinical manifestations of APLA syndrome includes adverse pregnancy outcome (recurrent first trimester abortion ),venous thromboembolism,arterial thromboembolism,livedo reticularis,transverse myelitis,skin necrosis,chorea.Davidson's principles &practice of medicine 22nd edition pg no 1055.